What test is used to check if blood is of human origin -
1. Takayama test
2. Benzidine test
3. Precipitin test
4. Teichmann's test

Correct answer: 3. Precipitin test

Explanation: Ref: THE ESSENTIALS OF FORENSIC MEDICINE AND TOXICOLOGY- Dr. K.S.NARAYAN REDDY 32 EDITION page no-432 This method determines whether the blood derived from human being or from lower animal. It is an immunological test(serological examination). Principle: Blood serum contains proteins in colloidal suspension ,and when human serum is injected into an animal,the animal become immunised against these proteins and antibodies develop in its blood .If human serum is then brought into contact with this animal serum,the antibodies in the animal serum react with the proteins in the human serum and a visible precipitate forms. The antibodies causing this reaction are known as precipitins and the animal serum is known as antihumam precipitin serum.A rabbit or a fowl is injected with human blood every third day for 3 to 5 injections. after thuis animal is killed and the antiserum is collected. A suitable antiserum should react immmediately or within a minute on the 1:1000 dilution Application of the test: It is a specific protein test, and the reaction demonstrates the presence of albuminous substances obtained from any part of human body. the origin of skin, flesh,bone or even secretions such as saliva ,milk and semen is determined by this test.